Flexor of hip joints are all except
1. Psaoas major
2. Sartorius
3. Gluteus maximus
4. Rectus femoris

Correct answer: 3. Gluteus maximus

Explanation: Muscles assisting in flexion are psoas major ,iliacus,sartorius ,rectus femoris and pectineus. Gluteus maximus is the chief extensor of the hip joint. Reference: Textbook of anatomy,Abdomen and Lower limb, Vishram Singh, 2nd editon, page no.383